Urachus fistula is -
1. Patent allantois
2. Ectopic hernia
3. Patent vitello-intestinal tract
4. Meckel's diverticulum

Correct answer: 1. Patent allantois